All are Pneumatic bones except:
1. Sphenoid
2. Ethmoid
3. Parietal
4. Frontal

Correct answer: 3. Parietal

Explanation: Ans. C. ParietalPneumatic bones are those bones which contain an air filled cavity within them. In humans, they are seen in relation to the nasal cavity - they enclose the paranasal sinuses. Pneumatic bones are - maxilla, frontal bone, sphenoid and ethmoid